The most preferred incision in case of  implant surgery is:
1. Oblique incision
2. Crestal incision
3. Crevicular incision
4. Beveled incision

Correct answer: 2. Crestal incision